A patient manifests systemic symptoms of pallor and unconsciousness following local anesthesia. The patient is experiencing:
1. CNS depression
2. Syncope
3. Tonic reaction to local anesthesia
4. Allergic response

Correct answer: 2. Syncope